Average gain of height in first year is ?
1. 25 cm
2. 50 cm
3. 75 cm
4. 100cm

Correct answer: 1. 25 cm

Explanation: At birth, height is around 50 cm.
At one year, height is around 75 cm.
Thus gain in height in first year is 25 cm.